If a 95% confidence Interval for prevalence of cancer smokers aged > 65 years is 56% to 76%, the chance that the prevalance could be less than 56% is ?
1. Nil
2. 44%
3. 2.50%
4. 5%

Correct answer: 3. 2.50%

Explanation: Ans. is 'c' i.e., 2.5% In this questions: 56 to 76 confidence interval covers 95% (2SD) of values. That means 5% of values will fall outside the range of 56-76 --4 2.5% values will be below 56 and 2.5% values will be above 76.